Corneal transparency is due to all except:
1. Na. - K+ pump
2. Normal IOT
3. Hypercellular stroma
4. Peculiar arrangement of lamella

Correct answer: 3. Hypercellular stroma

Explanation: C i.e. Hypercellular stroma